Short chain fatty acid produced by bacteria are maximally absorbed in
1. Duodenum
2. Colon
3. ileum
4. Jejunum

Correct answer: 2. Colon

Explanation: Acetate, propionate and butyrate are short chain fatty acids formed in the colon by action of bacteria. They are reabsorbed in the colon itself.